Angiotensin II causes all except
1. Stimulates release of ADH
2. Increases thirst
3. Vasodilation
4. Stimulates aldosterone release

Correct answer: 3. Vasodilation

Explanation: Ans. (C) Vasodilation(Ref: Ganong Review of Medical Physiology 22nd; KDT 8th/e p525)*Angiotensin II binds to AT1 receptors and causes vasoconstriction and release of aldosterone.*Angiotensin II is one of the most potent vasoconstrictors in body.*Angiotensin II increases thirst sensation through the subfornical organ (SFO) of the brain.*It increases secretion of ATCH in the anterior pituitary.*It also potentiates the release of norepinephrine by direct action on postganglionic sympathetic fibers.